Muscarinic receptors on blood vessel endothelium cause
1. Vasodilatation through acetylcholine
2. Vasodilatation through NO
3. Vasoconstriction through acetylcholine
4. Vasoconstriction through endotheline

Correct answer: 2. Vasodilatation through NO

Explanation: Ans. is'b' i.e., Vasodilatation through NONo direct cholinergic supply is present in blood vessels.But cholinergic receptor (M, types) are present on blood vessels endothelium.Stimulation of these receptors causes release of EDRF (NO) from endothelium resulting in vasodilatation.